All are used in treatment of Helicobactor pylori, EXCEPT-
1. Colloid bismuth
2. Cisapride
3. Clarithromycin
4. Metronidazole

Correct answer: 2. Cisapride